Best indicator for coronary artery disease
1. HDL
2. LDL
3. VLDL
4. Chlomicron

Correct answer: 2. LDL

Explanation: Hyperlipidemia is a major risk factor for development of atheroscerosis The main cholesterol component associated with increased risk is LDL (bad cholesterol) Robbins 9th edition page no. 336